In the immediate post operative period, body potassium is -
1. Exchanged with calcium
2. Exchanged with magnesium
3. Retained in body
4. Excreted excessively

Correct answer: 4. Excreted excessively

Explanation: Ans. is 'd' i.e., Excreted excessively There is increased Adreno cortical activity which causes Na+ retention & K+ excretion